Which of the following antihypertensives does not alter serum glucose and lipid levels?
1. Propanolol
2. Prazosin
3. Thiazide diuretics
4. Furosemide

Correct answer: 2. Prazosin

Explanation: Prazosin doesn't impair carbohydrate metabolism, suitable for diabetes mellitus, it has only a slight effect on lipid profile. Prazosin is a selective alpha 1 antagonist. Diuretics - cause hyperlipidemia and hyperglycemia Beta-blockers- by blocking beta 2 receptors on liver-could cause hyperglycemia to a slight extent and hyperlipidemia K.D. Tripathi : Essentials of medical pharmacology, seventh edition, page no 564